A patient presented with acute abdominal pain. On clinical suspicion the pt. underwent cholecystectomy. On histopathological examination the finding is normal. The gallbladder epithelium will be
1. Squamous epithelium
2. Simple columnar with brush border
3. Simple columnar
4. Simple columnar with sterocilia

Correct answer: 2. Simple columnar with brush border

Explanation: Inderbir Singh's Human Histology Seventh edition Pg A30 The mucous membrane of gallbladder is lined with simple columnar epithelium with brush border